Histologically the dental pulp most closely resembles :
1. Nerve tissue
2. Vascular tissue
3. Granulation tissue
4. Loose connective tissue

Correct answer: 4. Loose connective tissue